All are true about testicular dysgenesis syndrome Except
1. Cryptorchidism
2. Epispadiasis
3. Hypospadias
4. Poor sperm motility

Correct answer: 2. Epispadiasis

Explanation: Testicular dysgenesis syndrome (TDS): It constitutes a spectrum of disorders and is one of the known risk factors for testicular germ cell tumors. This syndrome includes cryptorchidism, hypospadias, and poor sperm quality. These conditions might be related to in utero exposures to pesticides and estrogens. Ref: RAM DAS NAYAK EXAM PREPARATORY MANUAL FOR UNDERGRADUATES 2nd ed. pg no: 651